IQ is calculated by -
1. Mental age/chronological age
2. Mental age - chronological age
3. Chronological age/mental age
4. Chronological age - mental age

Correct answer: 1. Mental age/chronological age

Explanation: Ans. is 'a' i.e., Mental age/Chronological age The Intelligence Quotient (I.Q.) is calculated according to the formula:The WHO classification of mental retardation is based on the concept of IQ and includes the following categories:CategoryIQMild50-70Moderate35-49Severe20-34Profound<20A child with IQ <70 is called mentally retarded.